Mucostatic impressions can be obtained by
1. Plaster
2. Low viscosity alginate
3. Both of the above
4. None of the above

Correct answer: 3. Both of the above